The superficial inguinal ring is a defect in?
1. Transversalis fascia
2. Internal oblique
3. External oblique
4. External oblique aponeurosis

Correct answer: 4. External oblique aponeurosis

Explanation: Ans. is 'd' i.e., External oblique aponeurosis